A 15 year old boy was brought the child psychiatrist by her mother. She reports that boy has been performing poorly in the school and has failed twice in 7th class. She further reports that he doesn't follow the instruction of teachers and doesn't obey the parents. He frequently gets into fight with other kids and often gets injured in the brawl. Three times, he has been caught stealing money from his fathers purse. Last week he was also seen smoking with couple of much older students in front of his school. What is the diagnosis?
1. Antisocial personality disorder
2. Attention-deficit hyperactivity disorder
3. Conduct disorder
4. Oppositional defiant disorder

Correct answer: 3. Conduct disorder

Explanation: Conduct disorder - Pattern of 'disregard for rights of others' and aggressive and dis-social behavior and age <18 years Stealing Repeated lying, Aggression, bullying, Cruelty towards animals Disobedience or defiance of authorities, Running away from school. Later development of antisocial personality disorder and substance abuse. B. Oppositional defiant disorder - Negativistic and defiant behavior towards adults and authority figures. Deliberately annoys parents and teachers. Gross violation of social norms is not seen.